Vital staining was introduced by:
1. Enlow
2. Wolff
3. John Hunter
4. Petrovic

Correct answer: 3. John Hunter

Explanation: Vital staining is an experimental method of measuring growth. It was introduced by John Hunter in the eighteenth century. The method consists of injecting dyes that stain the mineralizing tissues. These dyes get deposited in the bones and teeth and the animals are sacrificed and tissues studied histologically. Hunter studied the growth of mandible in the pig.